The anticancer drug belonging to inorganic metal complexes?
1. Dacarbazine
2. Cisplatin
3. Methotrexate
4. Vincristine

Correct answer: 2. Cisplatin

Explanation: Cisplatin, oxaliplatin, carboplatin belongs to platinum coordination complexes.Cisplatin-Most emetogenic. Ref: Sharma and Sharma 2nd e/pg 849